Following are steps of rapid sequence intubation except
1. i.v thiopentone + i.v succinylcholine is used for paralysis with induction
2. Bag and mask ventilation is used for positive pressure ventilation.
3. Sellick’s maneuver is used to prevent aspiration
4. Pre-oxygenation is mandatory.

Correct answer: 2. Bag and mask ventilation is used for positive pressure ventilation.

Explanation: Bag and maskventilation is contraindicated in rapid sequence intubation because of risk of aspiration.